Which of the following is not associated with chorioamnionitis :
1. Preterm labour
2. Endometritis
3. Abruptio placentae
4. Placenta accreta

Correct answer: 4. Placenta accreta

Explanation: Ans. is d i.e. Placenta accrete Chorioamnionitis Chorioamnionitis is usually a manifestation of intrauterine infection. It is frequently associated with prolonged membrane rupture and long labour. Grossly : infection is characterised by clouding of the membranes. There may be a foul odor, depending on bacterial sepcies and concentration. Bacterias most frequently associated with Chorioamnionitis are : Ureaplasma urealyticum Mycoplasma hominis Bacteriods Diagnosis of Chorioamnionitis Clinical : It requires : - The presence of Fever > 1002 F or 37.8deg C. -- Any two of the following conditions Maternal tachycardia > 110 bpmFetal tachycardia > 160 bpm Uterine tenderness - Foul odour of amniotic fluidMaternal Ieucocytosis.